Which of the following is seen in osteoporosis -
1. Low Ca, high PO4, high alkaline phosphatase
2. Low Ca, low PO4, low alkaline phosphatase
3. Normal Ca, normal PO4, normal alkaline phosphatase
4. Low Ca, low PO4, normal alkaline phosphatase

Correct answer: 3. Normal Ca, normal PO4, normal alkaline phosphatase

Explanation: Serum calcium, phosphate and alkaline phosphatase are normal in osteoporosis.